The Reynold's pentad of fever, jaundice, right upper quadrant pain, septic shock and mental status change is typical of
1. Cholangitis
2. Hepatitis
3. Cholecystitis
4. Pancreatitis

Correct answer: 1. Cholangitis

Explanation: Clinical features of cholangitis Characterized by charcot's triad: Abdominal pain + jaundice + fever Cholangitis may be either self-limited or toxic with severe illness, including jaundice, fever, abdominal pain, mental status changes, and hypotension (Reynold's pentad) Fever and chills are the MC presentation Ref: Sabiston 20th edition Pgno : 1507